Pulse proteins are deficient in ?
1. Methionine
2. Lysine
3. Threonine
4. All

Correct answer: 1. Methionine